Excessive eating followed by purging using laxatives in 20 years old females:
1. Bulimia nervosa
2. Anorexia nervosa
3. Binge eating disorder
4. Schizoprenia

Correct answer: 1. Bulimia nervosa

Explanation: Bulimia Nervosa